Mutism and akinesis in a person who appears awake and even alerts is best described as
1. Twilight state
2. Stupor
3. Oneroid state
4. Delirium

Correct answer: 2. Stupor

Explanation: Stupor : Akinesis (no movement) with mutism but with evidence of relative preservation of conscious awareness.